An elderly patient with chronic otitis media (middle ear infection) might have all the following complications, EXCEPT:
1. Inability to chew food due to injury to the mandibular division of the trigeminal nerve (CN V)
2. Loss of taste in the anterior part of the tongue due to injury to the chorda tympani nerve
3. Mastoiditis
4. Paralysis of facial muscles due an injury to the facial nerve (CN VII)

Correct answer: 1. Inability to chew food due to injury to the mandibular division of the trigeminal nerve (CN V)

Explanation: The mandibular division of the trigeminal nerve is not associated with the middle ear. So, chronic ear infections should have no effect on this structure.